Increased insulin is charachterized by all of the following, except:
1. Increased Glucagon secretion
2. Increased Intracellular potassium
3. Hypoglycemia
4. Enhanced fatty acid synthesis

Correct answer: 1. Increased Glucagon secretion

Explanation: Answer is A (Increased Glucagon secretion): Insulin Inhibits glucogon release by pancreatic alpha cells. Insulin facilitates increased cellular uptake glucose into most tissues (insulin sensitive tissues) with a resultant lowering of serum glucose (Hypoglycemia). Insulin enhance fatty acid synthesis and inhibits lipolysis.